Trench mouth is caused by
1. β - hemalytic streptococci
2. Borrelia vincenti
3. Epstein Barr virus
4. Diphtheria

Correct answer: 2. Borrelia vincenti